Compared with Cow's milk, mothers milk has more
1. Lactose
2. Vit D
3. Proteins
4. Fats

Correct answer: 1. Lactose

Explanation: Lactose is in a high concentration(6-7 g/dl) in breast milk. Lactose helps in absorption of calcium and enhances the growth of lactobacilli. Ref: Page 150, Ghai essential pediatrics; 8th edition